Best disinfectant of cholera stool is-
1. Bleaching powder
2. Cresol
3. Phenol
4. Lime

Correct answer: 2. Cresol

Explanation: Cresol is an excellent coal-tar disinfectant. It is 3 to 10 times as powerful as phenol, yet no more toxic. Cresol is best used in 5 to 20 percent strength for disinfection of farces and urine. Cresol is an all-purpose general disinfectant. (refer pgno :128 park 23 rd edition)